A 24 year male came to OPD with brownish itchy patches in axilla, blood lamp examination shows "coral red" fluroscence. Most likely diagnosis is:
1. Tenia corporis
2. Hidradenitis suppurativa
3. Erythrasma
4. Tinea crusis

Correct answer: 3. Erythrasma

Explanation: Erythrasma is caused by Corynebacterium.minutissimum characterized by intense itchy brownish red patches in axilla and groin , which on wood lamp examination shows characteristic "coral red" fluorescence.